Most common site of Actinomycosis amongst the following is -
1. Tibia
2. Ribs
3. Mandible
4. Femur

Correct answer: 3. Mandible

Explanation: Most common type of actinomycosis is oro-cervico-facial.
Angle of the jaw is the most common site.